Uremic complications typically arise during which of the following phases of Renal Failure:
1. Initiation
2. Maintenance
3. Diuretic Phase
4. Recovery Phase

Correct answer: 2. Maintenance

Explanation: Answer is B (Maintenance) Uremic complications and Electrolyte imbalance typically arise during the Maintenance Phase of Acute Renal Failure (Also known as Oliguric Phase). Maintenance phase refers to the phase of Renal Failure in which the renal injury becomes established. It is also known as the Oliguric Phase. During this phase the GFR and Urine output progressively decrease until they stabilize at their lowest. Fluid retention gives rise to edema, water intoxication, and pulmonary congestion if the period of oliguria is prolonged. Hypertension frequently develops during this phase. Uremic complications and Electrolyte imbalance typically arise during this phase. Continuous Renal Replacement Therapy (CRRT) or Dialysis should be initiated in this phase. The oliguric-anuric phase generally lasts 10 to 14 days but can last for several more. The longer the patient remains in this phase, the poorer the prognosis for a return to normal renal function.